Normal intracranial pressure in a child is:
1. < 5mm of Hg
2. 50-80 mm of Hg
3. 10-15 mm of Hg
4. 20-30 mm of Hg

Correct answer: 3. 10-15 mm of Hg

Explanation: Normal intracranial pressures : - Newborns : < 5mm of Hg - Infants : 6-15 mm of Hg - Children : 10-15mm of Hg ICP is considered severely elevated, if raised above 40mm of Hg